Which of the following is least likely to be associated with Infective Endocarditis:
1. Small ASD
2. Small VSD
3. Mild MR
4. Mild MS

Correct answer: 1. Small ASD

Explanation: Answer is A (Small ASD) Endocarditis is unusual in sites with a small pressure gradient as in - ASD - Harrison